The rise in the incidence of ectopic pregnancy is related to all, except:
1. Increase in STD
2. ART techniques
3. Combine oral contraceptive pills
4. Tubal reconstructive surgery

Correct answer: 3. Combine oral contraceptive pills

Explanation: Today rate of ectopic pregnancies has increased dramatically partly due to a rise in pelvic inflammatory disease (PID), and partly due to a number of other issues. Previous pelvic surgery, congenital or acquired abnormalities of the uterine cavity and fallopian tubes may contribute to the condition, as does tubal
microsurgery, drug ovulation stimulation, and ART.